Tapping the tendon of a muscle may elicit?
1. Contraction of the muscle
2. Relaxation of the muscle
3. No response
4. Fibrillation of the muscle

Correct answer: 1. Contraction of the muscle

Explanation: (A) Contraction of the muscle # Tapping the patellar tendon elicits the knee jerk, a stretch reflex of the quadriceps femoris muscle, because the tap on the tendon stretches the muscle> Tapping on the tendon of the triceps brachii, for example, causes an extensor response at the elbow as a result of reflex contraction of the triceps;> Tapping on the Achilles tendon causes an ankle jerk due to reflex contraction of the gastrocnemius;> Tapping on the side of the face causes a stretch reflex in the masseter